In the nasolacrimal duct, valve of Hasner is present at its:
1. Upper end
2. Lower end
3. Middle
4. None of the above

Correct answer: 2. Lower end

Explanation: Ans. Lower end